Which of the following drugs is commonly administered by intranasal route ?
1. Adrenaline
2. Desmopressin
3. Ganirelix
4. Insulin

Correct answer: 2. Desmopressin

Explanation: - Among the given choices, the only desmopressin is administered by the intranasal route.
- This route is being tried for Insulin, but not used presently.